Smallpox vaccine was introduced by
1. Paul Ehrlich
2. Robert Koch
3. Louis Pasteur
4. Edward Jenner

Correct answer: 4. Edward Jenner

Explanation: Edward Jenner discovered smallpox vaccine in1796